Ramu, a 3 year 8 month old child is living in an area where fluoride water supply  consists of 0.4 ppm. Fluoride supplement needed is
1. 0.15 mg
2. 0.25 mg
3. 0.50 mg
4. 1.0 mg

Correct answer: 2. 0.25 mg

Explanation: Dietary Fluoride Supplementation Schedule